The most common cause of Left Ventricular Hypertrophy is:
1. Hypertension
2. Aortic Stenosis
3. Aortic Regurgitation
4. HOCM

Correct answer: 1. Hypertension

Explanation: Answer is A (Hypertension) The most common cause of Left Ventricular Hypertrophy is Systemic Hypertension Left Ventricular Hypertrophy may be produced as a result of all of the above conditions but systemic hypertension remains the single most common cause. Left Ventricular Hypertrophy (LVH) Pressure overload states: Hypertension (most common cause of LVH). Aortic stenosis Coarctation of Aorta Volume overload states: Aortic or mitral regurgitation Hypertrophic cardiomvopathy (HCM): A group of genetic diseases of the cardiac sarcomere characterized by hypertrophy of the left ventricle. The most common cause of Left Axis Deviation of ECG is Left Anterior Hemiblock